Which one of the following is not raised in intravascular hemolysis?-
1. Bilirubin
2. LDH
3. Reticulocyte count
4. Haptoglobin

Correct answer: 4. Haptoglobin

Explanation: In intravascular hemolysis RBCs lyse in the circulation releasing hemoglobin into the plasma. Causes include mechanical trauma, complement fixation, and other toxic damage to the RBC. The fragmented RBCs are called schistocytes Ref Robbins 9/e pg409